Varicella zoster virus belongs to which family of DNA viruses ?
1. Poxviridae
2. Herpesviridae
3. Adenoviridae
4. Papovaviridae

Correct answer: 2. Herpesviridae

Explanation: Ans. is `b' i.e., Herpesviridae DNA viruses Poxviridae :- Variola, vaccinia, cowpox, monkeypox, tanapox, molluscum contagiosum Herpesviridae :- HSV-1, HSV-2, varicella-zoster, EBV, CMV, HTLV- 1, RK-virus Adenoviride Adenovirus Parvoviridae Parvovirus, Adenosatellovirus, Densovirus Papovaviridae Papilloma virus (HPV), Polyomavirus Hepadnaviridae Hepatitis-B virus